Function of Golgi apparatus ?
1. Protein synthesis
2. Transcription
3. Glycosylation
4. Cholesterol synthesis

Correct answer: 3. Glycosylation

Explanation: Ans. is 'c' i.e., GlycosylationGolgi apparatus (DietyosomelThe golgi apparatus is a stack of six or more membrane-enclosed sacs (cisterns). The cell contains one or more Golgi apparatus, usually near the nucleus. Proteins and polypeptides synthesized in the rough ER are passed on to the golgi apparatus. These secretions (polypeptide) are stored in the golgi apparatus and also concentrated, processed and packed. Further, it is in the golgi apparatus that sorts out protein for their correct destinations, i.e., where the secretions to he sent.Processing in Golgi apparatus may include addition of the carbohydrate moiety to proteins (glycosylation) to form glycoproteins; sulphation of mucopolysaccharides to form hyaluronic acid & chondroitin sulfate; cleavage of the polypeptide chain to form the active product, for example, proinsulin is cleaved by the Golgi apparatus to form insulin.Each Golgi apparatus is a polarized structure with a cis (convex) side and a trans (concave) side. Membrane vesicles containing newly synthesized protein bud off from the rough ER and fuse with Cis (Convex) side of Golgi apparatus, i.e., Cis end is the receiving end. This protein is then process through Golgi apparatus to reach the trans (concave) side, from which vesicles bud off into the cytoplasm and are finally exocytosed from the cell. So, trans end is secretory end.